Mini tracheostomy is performed through ?
1. Cricothyroid membrane
2. 2nd and 3rd tracheal rings
3. Any of the above
4. None of the above

Correct answer: 1. Cricothyroid membrane

Explanation: Ans. is 'a' i.e., Cricothyroid membrane Cricothyrotomy or Laryngtomy or Minitracheostomy It is the procedure to open the airway through the cricothyroid membrane. Patient's head and neck are extended, lower border of throid cartilage and cricoid ring is identified. Skin in this area is incised vertically and then cricothyroid membrane is opened with a transverse incision. It is an emergency procedure to buy time for the patient to be shifted to the operation theatre.